Ring worm fungi live in
1. Stratum Corneum
2. Dermis
3. Prickle Cell layer
4. Basal Cell layer

Correct answer: 1. Stratum Corneum

Explanation: A i.e. Stratum corneum Dermatophytosis is caused by trichophyton, epidermophyton & microsporumQ; and it infects superficial topmost layer of skin (stratum corneum or keratin layer), hair and nailsQ. Cutaneous mycosis (Tenia or Ring worm or Dermatophytosis) infect stratum corneum, hair & nailsQ and do not penetrate living tissues.